Patient with IQ of 60 has
1. Severe MR
2. Profound MR
3. Moderate MR
4. Mild MR

Correct answer: 4. Mild MR

Explanation: Mental Retardation Level IQ Range 1. Mild 50-70* 2. Moderate 35-50* 3. Severe 20-35* 4. Profound <20* Reference: A Short Textbook of Psychiatry by Niraj Ahuja page no.156.